Cells involved in humoral immunity-
1. B-cells
2. T-cells
3. Helper cells
4. Dendritic cells

Correct answer: 1. B-cells

Explanation: Robbins and cotran pathologic basis of disease South Asia edition. *Blymphocytes are the only cells in the body capable of producing antibody molecules, the mediators of humoral immunity. T cells are implicated in inciting cell mediated immunity and delayed type of hypersensitivity.